All are markers of Mantle cell lymphoma except -
1. CD5
2. CD 19
3. CD 20
4. CD 23

Correct answer: 4. CD 23